Which of the following is false about polyarteritis nodosa
1. Associated with hairy cell leukemia
2. ANCA negative
3. Granulomas not seen
4. Bronchial arteries are most common arteries involved

Correct answer: 4. Bronchial arteries are most common arteries involved

Explanation: Renal arteries are most commonly involved.